Kerley-B lines are seen when pulmonary venous pressure is:
1. 5 mmHg
2. 10 mmHg
3. 20 mmHg
4. 40 mmHg

Correct answer: 3. 20 mmHg

Explanation: Ans. 20 mmHg